Scorching results from?
1. The flame emerging from the muzzle
2. Grains of gunpowder being driven into the skin
3. Superficial deposit of smoke on the skin
4. Deposition of lead or other metal in the skin

Correct answer: 1. The flame emerging from the muzzle

Explanation: Singeing of hair/ scorching - due to the escape of hot gases by the sides of the muzzle end results in Singeing of hairs. Peppering- Grains of gunpowder being driven into the skin. Smudging- Superficial deposit of smoke on the skin. Lead ring / Metal ring around entry wound - Deposition of lead or other metal on the skin.